H1N1 strain of influenza is responsible for-
1. Avian influenza
2. Bird flu
3. Swine flu
4. None of the above

Correct answer: 3. Swine flu

Explanation: Ans. is 'c' i.e., Swine flu * Swine flu, also called swine influenza, or pig influenza, is caused by influenza virus.* Incubation period is about 1-3 days and the symptoms of swine flu in humans are similar to most influenza infections, e.g. fever, cough, rhinorrhea, fatigue and headache.* Swine flu is most commonly caused by HJNI inflenza A.* Other influenza virus causing swine flu, occasionally, are H1N2, H2N1, H3N2 and H2N3.